Poor prognostic factor in schizophrenia is
1. Acute onset
2. Middle age
3. Family history of affective disorder
4. Gradual onset

Correct answer: 4. Gradual onset

Explanation: Gradual onset